Most important enzyme in DNA replication for chain elongation
1. Helicase
2. DNA polymerase I
3. DNA polymerase III
4. Topoisomerase III

Correct answer: 3. DNA polymerase III

Explanation: Ans. is 'c' i.e.,DNA polymerase III Important DNA PolymerasesIn ProkaryotesDNA polymerase I :- Helps in gap filling and synthesis between okazaki fragments of lagging strand, and replaces ribonucleotides of RNA primer by deoxyribonucleotides. It has (i) 3' 5' exonuclease activity, (ii) 5' 3' exonuclease activity and (iii) polymerase (5' -> 3' polymerase) activityDNA polymerase II:- Helps in (i) proof reading (3' 5' exonuclease activity), and (ii) DNA repair.DNA polymerase III :- It is the main enzyme that synthesizes prokaryote DNA, i.e., synthesis of leading and lagging strand. It has (i) 5' -> 3' polymerase (or simply polymerase) activity for DNA synthesis, and (ii) 3'->5' exonuclease activity for proof reading.In EukaryotesDNA polymerase a :- It has primase activity (i.e. synthesizes RNA primer), and initiates DNA synthesis.DNA polymerase p :- It is a DNA repair enzymeDNA polymerase y :- Replicates mitochondrial DNADNA polymerase ?:- Helps DNA synthesis on lagging strand, i.e. elongation of okazaki fragments on lagging strand. It also has 5'->3' exonuclease activity for proof reading.DNA polymerase c :- Helps in DNA synthesis on leading strand. It also has 5'43 'exonuclease activity for proof reading.